Which of the following is not a true statement regarding dentin
1. Dentinal tubules are not secretory products of the odontoblast
2. Dentinal tubules are the path taken by Odontoblasts
3. Dentinal tubules represent path taken by odontoblast from DEJ to pulp
4. 1st convexity from pulp face towards incisal direction.

Correct answer: 4. 1st convexity from pulp face towards incisal direction.

Explanation: Option D is incrorrect as 1st convexity from pulp face towards root and 2nd convexity from pulp face towards incisal/occlusal direction.